True about neonatal sepsis:a) Early sepsis is due to organism in maternal genital tractb) Environmental factors cause late sepsisc) Late sepsis is due to organism in maternal genital tractd) Environmental factors cause early sepsis
1. ac
2. a
3. ab
4. bc

Correct answer: 3. ab

Explanation: Early onset sepsis is caused by organisms prevalent in the maternal genital tract.
Late-onset sepsis is caused by organisms of the external environment of home or hospital and the infection is transmitted most frequently by the hands of the care provider.